A chronic alcoholic have low energy production because of Thiamine deficiency as it is:
1. Acting as a cofactor for alpha ketoglutarate dehydrogenase and pyruvate dehydrogenase
2. Acting as cofactor for transketolase in pentose phosphate pathway
3. Interferes with energy production from amino acids
4. Act as cofactor for oxidation reduction

Correct answer: 1. Acting as a cofactor for alpha ketoglutarate dehydrogenase and pyruvate dehydrogenase

Explanation: Ans. A. Acting as cofactor for alpha ketoglutarate Dehydrogenase and pyruvate dehydrogenase(Ref. Harper 31/e page 151-155)Alpha ketoglutarate dehydrogenase (TCA cycle) and PDH (link between aerobic glycolysis and TCA) require Thiamine, hence affect energy production, in alcoholic patients thiamin deficiency is present.